Subcostal nerve is -
1. Ventral rami of T6
2. Dorsalrami of T6
3. Ventralrami of T12
4. Dorsalrami of T 12

Correct answer: 3. Ventralrami of T12

Explanation: Ans. is 'c' i.e., Ventral rami of T12 o Ventral rami of upper 11th thoracic spinal nerves are known as intercostal nerves and ventral ramus of T12 is known as subcostal nerve.o Upper six intercostal nerves supply thoracic wall whereas lower five intercostal nerves and subcostal nerve supply thoracic and anterior abdominal walls and hence known as thoracoabdominal nerves.o Upper two intercostal nerves also supply the upper limb. Thus only 3rd to 6th are called typical intercostal nerves.